A female presents with 8 weeks amenorrhea with pain left lower abdomen. On USG, there was thick endometrium with mass in lateral adnexa. Most probable diagnosis:
1. Ectopic pregnancy
2. Torsion of dermoid cyst
3. Tubo-ovarian mass
4. Hydrosalpinx

Correct answer: 1. Ectopic pregnancy

Explanation: Ans. is a, i.e. Ectopic pregnancyRef William's Obstetrics 23/e, p 242, 243; Dutta Obs. 7/e, p 181A female with 8 weeks amenorrhea with pain left lower abdomen and on USG, thick endometrium with mass in lateral adnexa is suggestive of ectopic pregnancy.